The size of the red blood cells is measured by -
1. MCV
2. MCHC
3. ESR
4. MCH

Correct answer: 1. MCV

Explanation: MCV-Mean cell volume is the average volume of a red cell in femtolitres.ie it measures the size of RBC MCHC -Mean cell hemoglobin concentration is the average concentration of haemoglobin in given volume of packed RBC expressed in grams per decilitre. MCH -Mean cell hemoglobin is the average content of Hb per red cell expressed in pico grams. ESR is the erythrocyte sedimentation rate. Reference : Robbins and Cotran Pathologic basis of disease.South Asia Edition volume 1.page no.630